Cataract is caused by -
1. Hypoparathyroidism
2. Cigrate smoking
3. Non-ionizing radiation
4. All of the above

Correct answer: 4. All of the above

Explanation: Ans. is 'd' i.e., All of the aboveCauses of CataractSystemic diseases Dermatological diseasesAge related & Physical agentsToxic agentsOtherso Hypoparathyroi-dismo Ichthyosiso Senile cataracto Corticosteroidso Maternal infections# CMV# Toxoplasmosis# Rubellao Atopic dermatitiso Sunlight & UV rayso Chlorpromazineo Hypocalcemia o Werner syndromeo Traumao Busulfano Diabetes (Hypergly- cemia)o Rothmud's syndromeo Ionizing radiation# X-ray, y-rays# Neutronso Anticholinesteraseo Chloroquineo Obesityo Hypoglycemiao Amiodaroneo Severe diarrheao Dystrophia myotoniao Nonionizing radiation# Infrared# Microwaveo Cigratte smokingo Coppero Galactosaemiao Irono Alport syndromeo Electric shock (electric cataract)o Goldo Lowe syndromeo Diureticso Stickler syndromeo Vitamin A, C & E deficiency o Down syndromeo Wilson's diseaseo Hypothyroidismo Galactokinase deficiencyo Neurofibromatosis type IIo Hypertensiono Heat (Infrared cataract)